Most common cause of facial palsy -
1. Post operative
2. Trauma
3. Ramsay hunt syndrome
4. Bell's palsy

Correct answer: 4. Bell's palsy